Alvarado score is used for -
1. Acute cholecystitis
2. Acute appendicitis
3. Acute apncreatitis
4. Acute epidydimitis

Correct answer: 2. Acute appendicitis

Explanation: Ans. is. 'b' i.e., Acute appendicits Scoring system for Acute Appendicitis: Alvarado Score:* The diagnosis of appendicitis is based primarily on clinical history and physical examination assisted by blood counts. A number of clinical and laboratory based scoring systems have been devised to assist diagnosis.The most widely used scoring system is Alvarado score.Alvarado scoring systemSymptomsScoreMigratory right iliac fossa pain1Nausea / Vomiting1Anorexia 1SignsTenderness in right iliac fossa2Rebound tenderness in right iliac fossa1Elevated temperature1Laboratory findingsLeucocytosis Shift to the left of neutrophils Total10* The sum of all the scores are calculated for each patient and based on the results patients can be divided into three groups.i) Aggregate score 7-10: Strongly predictive of appendicitisii) Aggregate score 5-6: Equivocaliii) Aggregate score 1-4: Appendicitis can be ruled out.* In equivocal cases CT and Ultrasound can help in making the diagnosis.